Which antihypertensive is a prodrug and is coverted to its active form in brain?
1. Clonidine
2. Methyldopa
3. Minoxidil
4. Nitroprusside

Correct answer: 2. Methyldopa

Explanation: (Ref: KDT 6/e p547) Although both methyldopa and minoxidil are produrgs, conversion of methyldopa to a-methylnorepinephrine takes place in the brain whereas minoxidil is activated to minoxidil sulphate (by phase II reaction) in the periphery.